Wernicke's hemianopic pupillary response is seen in lesion of-
1. Optic tract
2. Optic chiasm
3. Optic radiation
4. Lateral genicular body

Correct answer: 1. Optic tract

Explanation: . *Wernicke's hemianopic pupil indicates lesions of optic tract . In this condition light reflex is absent when light is thrown on temporal half of retina of affected side and nasal half of opposite side. Ref Harrison20th edition pg 2456